Best method for identification of a person is :
1. Dactylography
2. Anthropometry
3. Personal appearance after death
4. Colour change of hair

Correct answer: 1. Dactylography

Explanation: A i.e. Dactylography